Hereditary chronic pancreatitis is caused by mutation of
1. Cationic trypsinogen or PRSS1
2. CFTR
3. PTSI
4. SPINK1

Correct answer: 1. Cationic trypsinogen or PRSS1

Explanation: Hereditary pancreatitis Autosomal dominant disease Due to a missence mutation on cationic trypsinogen, or PRSS1(Protease, serine 1) results in premature, intrapancreatic activation of trypsinogen The incidence is equal in both sexes Ref: Sabiston 20th edition Pgno :1532